Wing beating tremor is seen in
1. Huntington disease
2. Wilson disease
3. Parkinsonism
4. Thyrotoxicosis

Correct answer: 2. Wilson disease